Following is transmitted as autosomal dominant disorder ?
1. Albinism
2. Sickle cell anemia
3. Hereditary spherocytosis
4. Glycogen storage disease

Correct answer: 3. Hereditary spherocytosis

Explanation: Ans. is 'c' i.e., Hereditary spherocytosis